Which is the commonest Post splenectomy infection :
1. Streptococcus pyogenes
2. Staphylococcus aureus
3. Stseptococcus Pneumonia
4. Pseudomonas aeruginosa

Correct answer: 3. Stseptococcus Pneumonia

Explanation: Ans is 'c' ie. Streptococcus Streptococcus pneumoniae is the most common inf. in post splenectomy patient.Schwartz 9/e writes -"The most common causal organism, accounting for as many as 50 to 90% of all OPSI cases, remains pneumococcus. Meningococcus, H. influenzae type B, and group A streptococci follow in order of frequency. "Other organisms common in post splenectomy patients.Haemophilus influenzae type B Meningococcus Group A streptococci Group B streptococci Enterococcus species Bacteroides species Salmonella species Bartonella speciesCapnocytophaga canimorsus (implicated in OP SI as a sequela of dog bites)BabesiaMalaria